Which of the following grooves separates cusp ridges from marginal ridges?
1. Supplemental
2. Developmental
3. Mesio marginal developmental
4. Marginal ridge developmental

Correct answer: 2. Developmental